Which of the following has a direct role in apoptosis?
1. Nitric oxide
2. Adenylcyclase
3. cAMP
4. Cytochrome C

Correct answer: 4. Cytochrome C

Explanation: Mitochondria contain a protein called cytochrome c, which is its lifeline in intact mitochondria but releases this protein into the cytoplasm of the cell in apoptosis.Harshmohan textbook of pathology 7th edition.